Which of the following approach of brachial block is most suitable for catheter placement:-
1. Supraclavicular
2. Infraclavicular
3. Axillary
4. All

Correct answer: 2. Infraclavicular

Explanation: The infraclavicular brachial plexus blocks are an alternative to axillary block for anaesthetizing the elbow, forearm, and hand when positioning is compromised by limited abduction at the shoulder, for example, rheumatoid arthritis or an immobilized/traumatized arm. It is also an alternative to supraclavicular block for anaesthetizing the upper arm. The vertical infraclavicular is better than the lateral approaches in this respect and has similar rates of pneumothorax but less frequent phrenic nerve paresis. The lateral approach performed with ultrasound control has a minimal risk of phrenic nerve paresis or pneumothorax and so may be a better choice in those with respiratory compromise, but provides less reliable upper arm anaesthesia. Complications are rare and less frequent than supraclavicular approaches and vary depending on the specific infraclavicular technique used. Although the axillary block provides safe and straightforward regional anaesthesia of the arm, the infraclavicular approach does offer an alternative in some specific situations and can be considered a viable routine alternative in experienced hands. It has some advantages in providing upper arm anaesthesia, securing infusion catheters to the chest wall, and ease of patient positioning